A man when touches a hot object, the sensation of heat is not perceived. Signal reaches the thalamus but is not transmitted to postcentral gyrus. Which of the following is responsible for this?
1. Second order neuron
2. First order neuron
3. Third order neuron
4. Receptor

Correct answer: 3. Third order neuron

Explanation: Third order neuron (tertiary neuron) does not transmit the signal from thalamus to the cerebral cortex (Postcentral gyrus) in this case. Tertiary neuron acts as a pathway between thalamus and the postcentral gyrus. Second-order neurons project to the thalamus and tertiary neuron project to postcentral gyrus.